Both arteriolar and venodilator drug is:
1. Hydralazine
2. Sodium nitroprusside
3. Minoxidil
4. Captopril

Correct answer: 2. Sodium nitroprusside

Explanation: Ans. B: Sodium Nitroprusside